A patient using contact lens develops corneal infection. Laboratory diagnosis of acanthomoeba keratitis was established. The following is the best drug for treatment:
1. Propamidine
2. Neosporine
3. Ketoconazole
4. Polyhexamethylene biguanide

Correct answer: 4. Polyhexamethylene biguanide

Explanation: D i.e. Polyhexamethylene biguanide